Gartner's cyst arises from?
1. Remnant of paramesonephric duct
2. Remnant of mesonephric duct
3. Cervix
4. Vagina

Correct answer: 2. Remnant of mesonephric duct

Explanation: Remnant of mesonephric duct REF: Gray's anatomy 39TH edition p. 1384 "Gartner's duct cysts represent mesonephric remnants and are found on the anterolateral vaginal wall from the cervix to the introitus"